Which of the following H1 blocker has high anticholinergic activity
1. Cetirizine
2. Chlorpheneramine
3. Fexofenadine
4. Astemizole

Correct answer: 2. Chlorpheneramine

Explanation: Cetirizine and fexofenadine did not antagonize cholinergic responses. Chlorphenamine, also known as chlorpheniramine, is an antihistamine used to treat the symptoms of allergic conditions such as allergic rhinitis. It is taken by mouth. Onset is within 6 hours and effects last for about a day. Refer kDT 7/e p164